Drug of choice for reversal of is neuromuscular blockade by vacuronium-
1. Edrophonium
2. Neostigmine
3. Sugamadex
4. Pyridostigmine

Correct answer: 3. Sugamadex

Explanation: Ans: C. Sugamadex(Ref: KDT 7h/e p. 355; Basic of Anasthesia e book - 157)Sugamadex provides faster reversal of vacuronium - induced neuromuscular blockade compared with neostigmine.A modified gamma-cyclodextrin with high affinity towards vacuronium & recuronium.